Fosphenytoin is given by which route?
1. Oral
2. Intranasal
3. Intravenous
4. Subcutaneous

Correct answer: 3. Intravenous

Explanation: Ans. is 'c' i.e., Intravenous o Fosphenytoin is administered parenterally, most commonly intravenous or sometimes intramuscular.